Antithrombin III levels in disseminated intravascular coagulation -
1. Are decreased
2. Are increased
3. Remain Same
4. Are variable

Correct answer: 1. Are decreased